In posterior teeth, cusp tip is the best site for EPT. The response is best at which of the following cusp:
1. Distobuccal.
2. Mesiobuccal.
3. Mesiolingual.
4. Distolingual.

Correct answer: 2. Mesiobuccal.

Explanation: Highest density of A delta fibers is at pulp horn.